Live attenuated vaccine can be given to:
1. Children under 8 years
2. HIV patients
3. Patients on steroids
4. Patients on radiation

Correct answer: 1. Children under 8 years

Explanation: Ans. (a) Children under 8 yearsRef.: K. Park 23rd ed. /103, 21st ed /28* Live vaccines are prepared from live (generally attenuated) organisms. Generally live vaccines are more potent then killed vaccines . In case of administration of live vaccines usually require single dose except polio vaccine which require 3 doses .* Live vaccines are usually contraindicated in persons with immunodeficiency disorders or persons with leukemia, lymphoma, malignancies, or because of therapy with alkylating agents, corticosteroids, radiotherapy, antimetabolite drugs.* Pregnancy is the another contraindication unless risk of infection exceeds the risk of harm to the fetus .